An autopsy is performed on an 8-year old child with diabetes mellitus of recent onset who has died en route to the hospital following an automobile accident. Which of the following autopsy findings would or the diagnosis of type 1 diabetes as contrasted to type 2 diabetes?
1. Amylin deposition in pancreatic islets
2. Armanni-Ebstein lesion
3. Insulitis
4. Kimmelstiel-Wilson nodules

Correct answer: 3. Insulitis

Explanation: - All the findings listed in options are characteristic to both types of diabetes mellitus except insulitis which is specific for type 1 diabetes. - Amylin deposition in pancreatic islets, derived from insulin-associated polypeptide, is found especially in type 2 diabetes mellitus. - Armanni-Ebstein lesions (deposition of glycogen in renal tubules) are seen in uncontrolled hyperglycemia, which can occur in either type. - Kimmelstiel-Wilson nodules are seen in long-standing diabetes, - Similarly, proliferative retinopathy is complication of both forms of diabetes.